Widal test is an example of -
1. Flocculation
2. Agglutination
3. Both
4. None

Correct answer: 2. Agglutination

Explanation: Ans. is 'b' i.e., Agglutination